Web Causation of disease is most appropriate ?
1. Mostly applicable for common disease
2. Better for all the related factors associated with causation of disease
3. Epidemiological ratio
4. Helps to interrupt the risk of transmission

Correct answer: 2. Better for all the related factors associated with causation of disease

Explanation: Ans. is 'b' i.e., Better for all the related factors associated with causation of disease Web of causation o This model is ideally suited in the study of chronic disease, where the disease agent is often not known, but is the outcome of interaction of multiple factors. o The "web of causation" considers all the predisposing foctors of any type and their complex relationship with each other. o The causal web provides a model which shows a variety of possible interventions that could be taken which might reduce the occurrence of disease (e.g. MI) o The web of causation does not imply that the disease cannot be controlled unless all the multiple causes or chains of causation or at least a number of them are appropriately controlled. This is not the case. Sometimes removal or elimination of just only one link or chain may be sufficient to control disease, provided that link is sufficiently important in the pathogenic process. o Therefore, in a multifactorial event, individual factors are by no means all of equal weight.